Crude birth rate denominator is -
1. Total no of live births in that year
2. 1000 live births
3. Total numbers of births
4. Mid year population

Correct answer: 4. Mid year population